Amotivational syndrome is seen in
1. Cannabis
2. Cocaine
3. Amphetamine
4. LSD

Correct answer: 1. Cannabis

Explanation: Amotivational syndrome: Chronic cannabis use is postulated to cause lethargy, apathy, loss of interest, anergia, reduced drive and lack of ambition. Ref: A Short Textbook of Psychiatry, Niraj Ahuja, 7th Edition, pg. no.46